Which of the following agent is not used in erectiledysfunction:
1. Apomorphine
2. Vardenafil
3. Phenylephrine
4. Alprostadil

Correct answer: 3. Phenylephrine

Explanation: Ref; KD Tripathi pharmacology 7th edition page no;303 Drugs used in erectile dysfunction is Androgens : PDE-5 inhibitors; sildenafil, tadalafil, vardenafil PGE1; Alprostadil P papaverine Phentolamine -alpha blocker apomorphine- dopamine agonist Phenylephrine is an adrenergic drug which is contraindicated in erectile dysfunction